The progesterone of choice for emergency contraception is aEUR'
1. Norethisterone
2. Medroxyprogesteronacetate
3. Levonorgestrel
4. Desogestrel

Correct answer: 3. Levonorgestrel

Explanation: Levonorgestrel [Ref: Dutra Obstetrics 6/e, p 549-550; S.K. Chaudhuri Fertility Control 6/e, p 190-199; Novak's Gynaecology I4/e, p 283-385. Repeat from Nov 09 Q no.154